Effect of fetal hemoglobin on O2 dissociation curve
1. Right shift
2. Left shift
3. No effect
4. May be right or left

Correct answer: 2. Left shift

Explanation: Oxygen dissociation curve is the graphic expression of the affinity of hemoglobin for oxygen as a function of the partial pressure of oxygen. Dissociation is influenced by pH, temperature, and carbon dioxide pressure. Formerly called oxyhemoglobin dissociation curve.Ref: Ganong's review of medical physiology,3red edition, page no:610